The diagnosis of a patient presenting with familial Polyostosis, Precocious puberty and Pigmentation is:
1. Tuberous sclerosis
2. McCune Albright syndrome
3. Klinefelter syndrome
4. SLE

Correct answer: 2. McCune Albright syndrome

Explanation: Answer is B (McCune Albright syndrome); McCune Albright syndrome' Polyostotic form of fibrous dysplasia Cutaneous pigmentation Endocrine dysfunction, especially Precocious puberty in girls. The triad of symptoms in the question thus characterizes McCune Albright syndrome and hence is the answer.